True about tachyphylaxis is:
1. Direct sympathomimetics involved
2. Mechanism clearly understood
3. Ephedrine tachyphylaxis reversed with dopamine
4. Indirect sympathomimetics involved

Correct answer: 4. Indirect sympathomimetics involved

Explanation: Tachyphylaxis refers to rapid development of tolerance when doses of a drug repeated in quick succession result in marked reduction in response . This is usually seen with indirectly acting drugs , such as ephedrine , Tyramine , nicotine. From medical pharmacology padmaja 4th edition page no 70